True about enterocutaneous fistula -a) High output fistula drains 500 ml/dayb) Malignancy is most common causec) Fluid & electrolyte loss can occurd) No skin damage
1. a
2. bc
3. ad
4. ac

Correct answer: 4. ac